Which of the following is the pathogen responsible for blindness in advanced HIV infections?
1. Cytomegalovirus
2. Epstein-Barr virus
3. Fungus
4. Toxoplasma

Correct answer: 1. Cytomegalovirus